"Cone of light" is due to
1. Malleolar fold
2. Handle of malleus
3. Stapes
4. Incus

Correct answer: 2. Handle of malleus

Explanation: A bright cone of light can be seen radiating from the tip of malleus to the periphery in the anteroinferior quadrant Ref:Dhingra 6e pg: 2